Measles belongs to,
1. Togavirus
2. Paramyxovirus
3. Arbovirus
4. none of the above

Correct answer: 2. Paramyxovirus